The lymphocytopenia seen a few hours after administration of a large dose of prednisone to a patient with lymphocytic leukemia is due to ?
1. massive lymphocytic apoptosis
2. Bone marrow depression .
3. Activation of cytotoxic cells
4. Stimulation of natural killer cell activity

Correct answer: 1. massive lymphocytic apoptosis

Explanation: Ans. is 'a' i.e., Massive lymphocytic apoptosis o Glucocorticoid induce programmed cell death (apoptosis) in lymphoid malignancies.